Which of the following fluorinated agent does not produce fluoride to produce toxicity ?
1. Sevoflurane
2. Methoxyflurane
3. Desflurane
4. Enflurane

Correct answer: 3. Desflurane

Explanation: Ans. is 'c' i.e., Desflurane